Commonest type of seizure in newborn/neonates
1. Clonic
2. Tonic
3. Subtle
4. Tonic-clonic

Correct answer: 3. Subtle

Explanation: *Subtle seizures are the commonest type of seizures in newborns especially they can occur within 72 hours of birth .. *They may result from hypoxic-ischemic encephalopathy in preterm infants Ref Harrison20th edition pg 2034